Normal level of PSA in males is:
1. < 4ng/dl
2. 4-10 ng/ml
3. >10 ng/ml
4. <4 ng/ml

Correct answer: 4. <4 ng/ml

Explanation: PROSTATE SPECIFIC ANTIGEN (PSA) -- Causes liquefaction of seminal coagulum. Normal value <4ng/ ml (In > 50 years); Value > 20ng/ml diagnostic of CA prostate. PSA is the single test with highest positive reactive value for CA prostate. PSA is prostate specific, not the cancer specific. Level of PSA Is directly related to tumor burden.